Type III Cu NiTi is used for ?
1. Patient has low to normal pain threshold
2. Where rapid tooth movement required
3. More force required
4. Patient has good pain threshold

Correct answer: 1. Patient has low to normal pain threshold